J receptors are found in which of the following-
1. Pulmonary interstitium
2. Alveolar capillaries
3. Terminal bronchiole
4. Respiratory muscles

Correct answer: 1. Pulmonary interstitium

Explanation: Ans. (a) Pulmonary interstitium(Ref: Ganong, 25th ed/p.658)J receptors were discovered by an Indian physiologist A. S. PaintalThese receptors are located very close to the pulmonary capillaries (Juxtapulmonary receptors) in pulmonary interstitium